Which of the following vaccines is Contraindicated during pregnancy?
1. Hepatitis B vaccine
2. Varicella vaccine
3. Influenza vaccine
4. Tetanus toxoid

Correct answer: 2. Varicella vaccine

Explanation: Live attenuated vaccines are contraindicated in pregnancy.Some examples of live attenuated : Viral: MMR vaccine, chicken pox vaccine, smallpox vaccine, oral polio vaccine (Sabin), rotavirus vaccine, and yellow fever vaccine.Bacterial: BCG vaccine,typhoid vaccineNote: Recently live attenuated influenza vaccine came into use, given as nasal spray.